ABO antigens are present in all except
1. Sweat
2. Saliva
3. Semen
4. CSF

Correct answer: 4. CSF

Explanation: in ABH antigents are absent in CSF Ref: guyton and hall textbook of medical physiology 12 edition page number:813,814,815